2.Shangai fever is a mild febrile illness caused by which of the following organisms?
1. Pseudomonas
2. Burkholderia
3. Acinetobacter
4. Stenotrophomonas

Correct answer: 1. Pseudomonas

Explanation: Shangaiever fever is a typhoid resembling fever caused by psedomonas aeruginosa